Plasma cells are derived from -
1. B lymphocytes
2. T lymphocytes
3. NK cells
4. Monocytes

Correct answer: 1. B lymphocytes

Explanation: Ans. is 'a' i.e., B lymphocytes o B-cells are able to make a specific antibody against a specific antigen. It is due to present of specific receptor on B-cells - B-cell receptor (BCR), that is usually an immunoglobulin Ig M or Ig D. An antigen interacts with B-cell that shows best fit by virtue of its BCR. The antigen binds to this receptor, and the B-cell is stimulated to divide and form a clone (clonal selection). This clone of cells will become plasma cells that will secretes antibody of a particular specificity and same class.o Although, B-cells are the major source of antibodies (after their conversion into plasma cells). Helper - T cells are also important. Helper T-cells activate B-cells by secreting cytokines (lymphokines). These lvmphokines than stimulate the specific clone of B-cells to differentiate into plasma cells (clonal selection)Antigen exposure|Antigen presenting cells present this antigen to helper T cells|T cells are activated|Secretion of lymphokine by T-cells|B-cells that carrv BCR specific to that antigen are. stimulated (clonal selection)|B-cells proliferate and differentiate in to plasma cells|Plasma cells synthesize an immunoglobulin of same specificity as that carried by the B-cell precursors